The short posterior ciliary arteries are about in number:
1. 10
2. 20
3. 30
4. 40

Correct answer: 2. 20

Explanation: Ans. 20